The activation of caspases is likely to lead to
1. Apoptotic cell death
2. Blood coagulation
3. Mitotic cell division
4. G1 to S phase of cell cycle

Correct answer: 1. Apoptotic cell death